The local control in blood flow is seen in all except
1. Skin
2. Muscle
3. Splanchnic vessels
4. Cerebrum

Correct answer: 1. Skin

Explanation: Blood flow Autoregulation is seen in
-        Brain
-        Kidney
-        Myocardium
-        Liver
-        Skeletal muscle
-        Mesentery